Eyelid drooping is / are seen in  a) Damage to edinger - westphal nucleus  b) Damage to motor part of facial nerve  c) Damage to sympathetic nerve supply  d) Damage to motor root of occulomotor nerve  e)  Damage to lacrimal nerve
1. ad
2. ab
3. cd
4. bd

Correct answer: 3. cd

Explanation: Neurogenic ptosis occurs due to damage to 3rd (oculomotor nerve) supplying the LPS and sympathetic nerves supplying the muller's muscle.
It is worth noting that Edinger- Westphal nucleus is an accessory parasympathetic nucleus for oculomotor nerve and carries general visceral efferent fibres for pupillary constrictor (sphinctor pupillae) and ciliary muscle, i.e., parasympathetic pupil constrictor fibers from EWN travel within occulomotor nerve. General somatic efferent fibers which innervate most of the extraoculor muscles (LPS, SR, IR, MR, IO) do not come from EWN. Therefore damage to EWN does not cause ptosis.